Raindrop pigmentation is seen in:
1. Arsenic poisoning
2. Phosphorous poisoning
3. Mercury poisoning
4. Thallium poisoning

Correct answer: 1. Arsenic poisoning

Explanation: Ans. Arsenic poisoning